The left side of the heart is responsible for pumping
1. Oxygenated blood to the body
2. Oxygenated blood to the lungs
3. Deoxygenated blood to the body
4. Deoxygenated blood to the lungs

Correct answer: 1. Oxygenated blood to the body

Explanation: The left side of the heart is slightly more muscular to have the power and strength to pump blood up through the aorta and round to the rest of the body